Metabolic complication of cirrhosis are all except
1. Hypokalemia
2. Hyponatremia
3. Hypoglycemia
4. Hypoammonemia

Correct answer: 4. Hypoammonemia

Explanation: Electrolyte Abnormalities in Cirrhosis Hyponatremia Hypokalaemia Metabolic acidosis( decreased PNH) Ref: Sabiston 20th edition Pgno : 565